Several segments of the polypeptide chain of integral membrane proteins usually span the lipid bilayer. These segments frequently
1. Adopt an a-helical configuration
2. Contain many hydrophilic amino acids
3. Form covalent bonds with cholesterol
4. Contain unusually strong peptide bonds

Correct answer: 1. Adopt an a-helical configuration